Sputum can be disinfected by all except
1. Autoclaving
2. Chlorhexidine
3. Boiling
4. Cresol

Correct answer: 2. Chlorhexidine

Explanation: Autoclaving is the safest and most effective method for sputum disinfection Incineration is an effective alternative. Boiling used after an initial disinfection by 5% phenol (carbolic acid) or its derivatives like Lysol and Cresol.